Santushti strategy is associated with:
1. Female literacy
2. Population control
3. Rural infrastructure
4. None of the above

Correct answer: 2. Population control

Explanation: Santushti is an incentive and public private partnership for private sector surgeon and gynaecologist who get accredited facilities with 100 sterilization surgeries. Ref: National Health Programmes in India, J.Kishore, 10th edition pg: 751